Vaccine which requires the most stringent conditions for storage
1. DPT
2. OPV
3. BCG
4. TT

Correct answer: 2. OPV

Explanation: Among the vaccines, polio is the most sensitive to heat, requiring storage at minus 20 degree Celsius. Vaccines which must be stored in the vaccine compartments are polio and measles. The cold chain is a system of storage and transport of vaccines at low temperature from the manufacturer to the actual vaccination site (refer pgno:109 park 23 rd edition)